drug directly acting on blood vessels is
1. Hydralizine
2. Verapamil
3. Propranolol
4. Methyldopa

Correct answer: 1. Hydralizine

Explanation: Hydralazine is used with or without other medications to treat high blood pressure. Lowering high blood pressure helps prevent strokes, heart attacks, and kidney problems.Hydralazine is called a vasodilator. It works by relaxing blood vessels so blood can flow through the body more easily. Refer kDT 6/e p547